All are side effects of clomiphene citrate except ?
1. Ovarian cysts
2. Hot flushes
3. Breast soreness
4. Amenorrhea

Correct answer: 4. Amenorrhea

Explanation: Ans. is `d' i.e., Amenorrhea Clomiphene citrate It is a nonsteroidal compound. It is binds to both estrogen receptor a & (ERa and ER13) It acts as a pure estrogen antagonist in all human tissues. Induces gonadotropin secretion (LH, FSH) by blocking estrogenic feedback inhibition on pitutary (not on hypothalamus). In response to increased LH/FSH ovaries enlarge and ovulation occurs. Antagonism of peripheral actions of estrogen results in hot flushes. The chief use of clomiphene is in sterlity due to failure of ovulation - Addition of menotropins or chorionic gonadotropin improves the success rate. Other uses are to aid in vitro fertilization and oligospermia (male infertilty). Adverse effects - Polycystic ovarian disease (hyperstimulation syndrome), multiple pregnancy, hot flushes are main. There is increase risk of ovarian tumor Side effects of clomiphene- Polycystic ovary, hyperstimulation syndrome, hot flush, multiple pregnancy, alopecia, vertigo, allergic dermatitis, gastric upset and increased risk of ovarian tumor.